ASD which is common
1. Patent foremen ovale
2. Ostium primum
3. Ostium secondum
4. Sinus venosus

Correct answer: 3. Ostium secondum

Explanation: Ostium secundum ASD is the commonest type . Ghai essential of pediatrics, eighth edition, p.no:413